Defense mechanism in depression
1. Altruism
2. Projection
3. Undoing
4. Introjection

Correct answer: 4. Introjection

Explanation: Defence mechanism in disease Disease Defence mechanism Psychosis Projection Neurosis Repression Phobia Displacement Inhibition Depression Introjection OCD Undoing Reaction formation